A baby has recently developed mouthing but has not developed stranger anxiety. Likes and dislikes for food. What is the most appropriate age of this baby-
1. 3 months
2. 5 months
3. 7 months
4. 9 months

Correct answer: 2. 5 months

Explanation: Ans. is 'b' i.e., 5 months Mouthing develops by 4 months, while stranger anxiety develops by 7 months. So, the age of this child is between 4 to 7 months. Amongst the given options best answer is 5 months.